Absence of lamina dura in the alveolus occurs in:
1. Rickets
2. Osteomalacia
3. Deficiency of vitamin C
4. Hyperparathyroidism

Correct answer: 4. Hyperparathyroidism

Explanation: Radiological Features of Hyperparathyroidism Subperiosteal resorption of terminal tufts of phalanges, lateral end of clavicle and symphysis pubis. Loss of lamina dura (i.e. thin cortical bone of tooth socket surrounding teeth is seen as thin white line, is resorbed). Fig : Loss of Lamina Dura Brown Tumor Salt and Pepper appearance of skull Treatment: Direct parenteral supplementation of calcium. -Dental findings of other options : Osteomalacia- no tooth abnormality as such Rickets- enamel defect Deficiency of vitamin C- bleeding gums + dentine defects